In males, first pubertal sign is:
1. Testicular enlargement
2. Hoarseness of voice
3. Pubic hair development
4. Penis enlargement

Correct answer: 1. Testicular enlargement

Explanation: Ans. Testicular enlargement